Diffusion of gas in the respiratory membrane
1. Directly proportional to thickness of respiratory membrane
2. Inversely proportional to molecular weight of the gas
3. No lipid - water solubility
4. Inversely proportional to pressure gradient

Correct answer: 2. Inversely proportional to molecular weight of the gas

Explanation: The rate of diffusion of gas across the respiratory membrane is
-        Directly proportional to 

The pressure gradient across the membrane
Lipid solubility of the gas 
The surface area of the membrane

-        Inversely proportional to

The thickness of the membrane​
The molecular weight of the gas